Which one of the following statements about leprosy is true?
1. Group surves for case detection are carried out when prevalence of leprosy is less than 1 per 1000
2. For determining the bacteriological index, ++ in a smear indicates 2 bacilli in every field
3. Minimum duration of treatment for paucibacillary cases is for 9 months
4. Minimum duration of treatment for multibacillary case is for 12 months

Correct answer: 4. Minimum duration of treatment for multibacillary case is for 12 months

Explanation: Duration of Treatment for Multibacillary leprosy-MB blister packs for 12 months,within 18 months. Reference:Park's textbook of preventive and social medicine,K.Park,23rd edition,page no:324.